Facial muscles are derived from?
1. 2nd Arch
2. 3rd Arch
3. 6th Arch
4. 1st Arch

Correct answer: 1. 2nd Arch